Meckel's Diverticula in the inguinal hernia sac is called as
1. Amyand's hernia
2. Cooper's hernia
3. Coquet hernia
4. Littre's hernia

Correct answer: 4. Littre's hernia

Explanation: Meckel's Diverticula can be found in inguinal or femoral sac is known as Littre's hernia and can cause intestinal obstruction Ref: schwartz's principle of surgery 10th edition Pgno : 1164